Earliest lesion seen in asbestosis is
1. A. Pleura plaques
2. B. Hilar lymphadenopathay
3. C. Adenoma lung
4. D. Mesothelioma

Correct answer: 1. A. Pleura plaques

Explanation: It is most common manifestation of asbestos exposure composed of plaques of dense collagen containing calcium. They are usually asymptomatic and develop on anterior and posteriolateral parts of parietal pleura and over the diaphragm Refer robbins 9/e